Vein used in bypass Surgery:
1. Great saphenous vein
2. Short saphenous vein
3. Femoral vein
4. Brachial vein

Correct answer: 1. Great saphenous vein

Explanation: In patients with occlusive coronary disease caused by atherosclerosis, the diseased arterial segment can be bypassed by inserting a graft consisting of a portion of the great saphenous vein.The venous segment is reversed so that its valves do not obstruct the arterial flow. Following removal of the great saphenous vein at the donor site, the superficial venous blood ascends the lower limb by passing through perforating veins and entering the deep veins.The great saphenous vein can also be used to bypass obstructions of the brachial or femoral arteries.